Colposcopy is best performed during
1. Proliferative phase
2. Secretory phase
3. Menstrual phase
4. Any day of cycle

Correct answer: 1. Proliferative phase

Explanation: Cervix is moist with mucus and external os is slightly patulous in proliferative phase and exposes squamocolumnar junction adequately.